Pellagra is characterised by all except
1. Dementia
2. Diarrhoea
3. Diplopia
4. Dermatitis

Correct answer: 3. Diplopia

Explanation: Refer Robbins page no 536 8th edition Pellagra is a disease caused by a lack of the vitamin niacin (vitamin B3). Symptoms include inflamed skin, diarrhea, dementia, and sores in the mouth. Areas of the skin exposed to either sunlight or friction are typically affected first.